A 60-year-old male presents with Cancer prostate. The tumor is limited to the capsule and it is palpable on PR examination. The patient is diagnosed as stage T1b. The best treatment would be:
1. Radical prostatectomy
2. Chemotherapy
3. Palliative radiotherapy
4. Orchidectomy

Correct answer: 1. Radical prostatectomy

Explanation: Ans. (a) Radical prostatectomyBailey 26th Edition, Page 1355* Radical prostatectomy is only suitable for localized disease (T1 and T2) and should be carried out only in men with a life expectancy of > 10 years.